A 40-year-old gardener C/O several subcutaneous nodules on his right hand, where he had cut himself on rose thorns. Physical exam reveals several erythematous fluctuant lesions. Which organism is most likely responsible for his condition
1. Aspergillus
2. Malassezia
3. Onchocerca
4. Sporothrix

Correct answer: 4. Sporothrix

Explanation: S schenckii, a dimorphic fungus causes sporotrichosis, a chronic granulomatous infection. The conidia or hyphal fragments of S schenckii are introduced into the skin by trauma. Patients frequently recall a history of trauma associated with outdoor activities and plants. The initial lesion is usually located on the extremities The initial episode is typically followed by a secondary spread with the involvement of the draining lymphatics and lymph nodesBiopsy of the tissue shows cigar-shaped yeast cells.Jawetz 27e pg: 670